Why EDTA and NaOCl can not be combined
1. EDTA inhibits tissue dissolving property of NaOCl
2. NaOCl inhibits the chelating action of EDTA
3. Both
4. None

Correct answer: 1. EDTA inhibits tissue dissolving property of NaOCl